F factor integrates with bacterial chromosome to form -
1. HFr
2. F+r
3. F-
4. F

Correct answer: 1. HFr

Explanation: Factor: The F factor is the transfer factor that contains the genetic information necessary for the synthesis of sex pilus and for self-transfer but is devoid of other identifiable genetic markers such as drug resistance. Cells carrying the F factor have no distinguishing feature other than their ability to mate with F - cells and render them F+. he F factor is actually an episode and has the ability to exist in some cells in the integrated data or inserted into the host chromosome. Such cells are able to transfer the chromosomal gene to recipient cells with high frequency and are known as Hfr cells. following conjugation with an Hfr cell an F- only rarely becomes F+ though it receives chromosomal genes from the donors. REF:Ananthanarayan and Panicker's Textbook ofMicrobiology 8thEdition pg no:65